All are true for transplanted kidney except -a) Humoral antibody responsible for rejectionb) CMI responsible for rejectionc) Donor's antibody on transfusion can cause rejectiond) HLA identity similarity is seen in 1: 100 people
1. cd
2. bc
3. bd
4. ac

Correct answer: 1. cd